Which pattern of enamel etching results in formation of honey comb appearance?
1. Type I
2. Type II
3. Type III
4. Type IV

Correct answer: 1. Type I

Explanation: 3 types of patten given in Sturdevant  

Type 1 - dissolution of prism core-HONEY COMB APPEARANCE.  
Type II – dissolution of prism periphery COBBLESTONE APPEARANCE. 
Type III - less distinct pattern, mixture of 1 and 2. 

Silverstone gave 5 types. 

Type IV - pitted enamel as well as structures that look like unfinished puzzle,maps or network. 
Type V - flat smooth surface.